A patient is having a continuous tremor and he has tendency to fall. Lesion Is most commonly seen in?
1. Globus pallidus
2. Substantia Nigra
3. Caudate lobe
4. Putamen

Correct answer: 2. Substantia Nigra

Explanation: Patient with continuous tremors and tendency to fall describes the Parkinson's disease. Parkinson disease: Dopamine deficiency in Substantia Nigra. Festinating Gait (stooped posture) Short shuffling gait Cog wheel rigidity/ lead pipe rigidity Hypophonia: voice intensity | Akinetic Mutism Freezing (Cannot start the movement)